Human papillomavirus is/are associated with all except
1. Oropharyngeal tumours
2. Carcinoma nasopharynx
3. Carcinoma anal canal
4. Carcinoma cervix

Correct answer: 2. Carcinoma nasopharynx